Potassium is maximally absorbed in which part of nephron?
1. PCT
2. DCT
3. Collecting ducts
4. Loop of Henle

Correct answer: 1. PCT

Explanation: Much of the filtered K+ is removed from the tubular fluid by active reabsorption in the proximal tubules K+ is then secreted into the fluid by the distal tubular cells. In the absence of complicating factors, the amount secreted is approximately equal to the K+ intake, and K+ balance is maintained. Ref: Ganong 25th ed/page 681